Two most important clinical features of primary biliary cirrhosisa) Generalized pruritusb) Jaundicec) Fatigued) Clubbinge) Hematemesis
1. a
2. bc
3. ac
4. b

Correct answer: 3. ac

Explanation: • MC indication for LT: Cirrhosis from Hepatitis C (HCV)
• 2nd MC indication for LT: Alcoholic liver disease
• MC indication for LT in children: Biliary atresia
• MC metabolic disorder requiring LT: Alpha-1 antitrypsin deficiency
• MC indication for LT following acute liver failure: Acetaminophen toxicity
• Sepsis and sepsis-induced multiple organ failure are the MC causes of death in liver transplantation.